Detoxification treatment for alcohol intoxication is with
1. Benzodiazepines for 7-14 days
2. Barbiturates for 10 days
3. Benzodiazepines for 1 month
4. Benzodiazepines for 2 days

Correct answer: 1. Benzodiazepines for 7-14 days

Explanation: treatment of alcohol dependence works under 2 steps namely detoxification and deaddiction detoxification is helping the patient acheive a smooth withdrawl deaddiction is a method that is used in alcohol detoxified patients thus helping them to prevent using substances in the future the drug which helps in alcohol withdrawl is benzodiazepines the choice of benzodiazepine is also important if the patients liver function test is within normal limits then it is better to choose CHLORDIAZEPOXIDE if the patients liver function test is deranged then it is wise to choose LORAZEPAM BZDs are drug of choice and they have to be given ideally for 1-2 weeks Ref: Essentials of postgraduate psychiatry By JN Vyas 1st ed Pg 331